Which of the following is vitamin K dependent clotting factor
1. Factor 7
2. Factor 1
3. Factor 11
4. Factor 12

Correct answer: 1. Factor 7

Explanation: Refer Gaming 21/e p 547 Vitamin K dependent factors are clotting factors 2 7 9 10 And anticlotting factors protein C and protein S